Marble bone disease, characterized by increase in bone density is due to mutation in the gene encoding:
1. Carbonic Anhydrase I
2. Carbonic Anhydrase II
3. Carbonic Anhydrase III
4. Carbonic Anhydrase IV

Correct answer: 2. Carbonic Anhydrase II

Explanation: Ans. B. Carbonic Anhydrase IIIn osteoporosis, also called as marble bone disease there is increased bone density. It is due to mutation in gene encodingcarbonic anhydrase II enzyme. The deficiency of this enzyme in osteoclasts leads to inability of bone resorption.